Intercourse can be cumbersome, annoying & also 'Noisy' with the use of which of the following :
1. Male condom
2. Female condom
3. IUCD
4. Vaginal ring

Correct answer: 2. Female condom

Explanation: Disadvantages of female condoms: 1. Intercourse is noisy, and slippage occurs in about one in 5-10 uses; however, female condom rarely breaks. 2. Occasionally the penis is introduced, by mistake, outside the female condom, which may lead to pregnancy and STDs including HIV. 3. It is an expensive method.